Ullipristal, as an emergency contraceptive can be taken upto how many hours of unprotected intercourse
1. 72 hours
2. 120 hours
3. 60 hours
4. 48 hours

Correct answer: 2. 120 hours

Explanation: Ullipristal can be taken upto 120hours of unprotective intercourse.